Feature of "Anankastic" personality disorder is
1. Procrastination
2. Lack of impulse control
3. Rigidity and stubbornness
4. All of the above

Correct answer: 3. Rigidity and stubbornness

Explanation: Anankastic personality is also known as obsessive-compulsive personality disorder. They are very rigid and stubborn. The other characteristics are Punctuality, perfectionism, Excessive doubt & caution, Bound to rules & regulation, Highly moralistic, Preoccupation with details rules, lists and order. There is no risk of obsessive-compulsive disorder in future but there is risk of depression.